Cholesterol Stone made up of:
1. Amorphous cholesterol monohydrate
2. Crystalline cholesterol monohydrate
3. Cholesterol Polyhydrate
4. Cholesterol with calcium palmitate

Correct answer: 2. Crystalline cholesterol monohydrate

Explanation: Ans. (b) Crystalline Cholesterol MonohydrateRef: Bailey and Love 27th Edition Page 1198, Surgery Sixer 3rd Edition Page 579Composition of Each StonesCholesterol Stones:* Cholesterol Stones are formed by Nucleation of Cholesterol Monohydrate crystals from multilamellar vesicles.* MC type of Gall stone in Western CountriesPigment Stones:* Contains < 30% Cholesterol* Brown pigment stone- composed of calcium bilirubinate, calcium palmitate and calcium stearate as well as cholesterol.* Black pigment stone- composed of Largely Insoluble Bilirubin pigment Polymer mixed with Calcium Phosphate and Calcium Bicarbonate